In which parasitic infestation sputum examination is not of much value -
1. Trichuris trichura
2. Strongyloides
3. Ancyclostoma duodenale
4. Paragonimus Westermanii

Correct answer: 1. Trichuris trichura

Explanation: Diagnosis of trichuris trichura The characteristic eggs are found in stools. The degree of infection can be assessedby egg counts in all other cases sputum examination is beneficial